The organism that does not affects hair -
1. Trichophyton rubrum
2. Epidermophyton floccosum
3. Microsporum
4. All

Correct answer: 2. Epidermophyton floccosum